Physiological amenorrhea is presentin all except:
1. Pregnancy
2. Lactation
3. Pre-pubey
4. Post-pubey

Correct answer: 4. Post-pubey

Explanation: Post-pubey